Which of the following calcium channel blocker has a predominant peripheral action:
1. Verapamil
2. Diltiazem
3. Nifidepine
4. Depranil

Correct answer: 3. Nifidepine

Explanation: Ans. C: Nifidepine Sublingual nifedipine has previously been used in hypertensive emergencies. This was found to be dangerous, and has been abandoned. Sublingual nifedipine causes blood-pressure lowering through peripheral vasodilation. It can cause an uncontrollable decrease in blood pressure, reflex tachycardia, and a steal phenomenon in certain vascular beds